A 45-year-old man is admitted to the hospital because of severe pain in the back and lower limb. Radiographic examination reveals spinal stenosis syndrome. Which of the following conditions is most likely to be confirmed by MRI examination?
1. Hypertrophy of supraspinous ligament
2. Hypertrophy of interspinous ligament
3. Hypertrophy of ligamentum flavum
4. Hypertrophy of anterior longitudinal ligament

Correct answer: 3. Hypertrophy of ligamentum flavum

Explanation: The ligamentum flavum connects the lamina of two adjacent vertebrae and forms the posterior wall of the vertebral canal. It is the only answer choice that is in direct contact with the vertebral foramen. Therefore, hypertrophy of only the ligamentum flavum would present as spinal stenosis. The supraspinous and interspinous ligaments connect spinous processes. The anterior longitudinal ligament connects the anterior portion of the vertebral bodies and intervertebral disks. Finally, the nuchal ligament is a thickened extension of the supraspinous ligament above the level of C7.